Which of the following may be seen in children with Vitamin C excess?
1. Alopecia
2. Oxaluria
3. Peripheral neuropathy
4. Benign intracranial hypertension

Correct answer: 2. Oxaluria

Explanation: Vitamin C is a precursor of oxalate, liable to produce hyperoxaluria . ... In malabsorption, Ca chelates with fatty acids, generating enteric hyperoxaluria Ref ganong's review of medical physiology 25e p436